True regarding the main function of apoprotein CII:
1. Cholesterol synthesis
2. TG transport
3. Increases activity of lipoprotein lipase
4. Fatty acid synthesis

Correct answer: 3. Increases activity of lipoprotein lipase

Explanation: Ans. C. Increases activity of lipoprotein lipaseLipase hydrolyze blood triglycerol for their fatty acid to become available to tissue.Lipoprotein lipase hydrolyze triglycerol in plasma lipoproteins.